Drug of choice for hyperthyroidism during 2nd trimester of pregnancy is:
1. Propylthiouracil
2. Carbimazole
3. Sodium iodide
4. Radioactive iodine

Correct answer: 2. Carbimazole

Explanation: HYPERTHYROIDISM IN PREGNANCY DOC for hyperthyroidism in pregnancy is Propylthiouracil. DOC for hyperthyroidism in first trimester of pregnancy is Propylthiouracil. DOC for hyperthyroidism in 2nd and 3rd trimester of pregnancy is Carbimazole.